Commonest cardiac lesion in tuberous sclerosis is
1. SD
2. VSD
3. Mitral stenosis
4. Rhabdomyoma

Correct answer: 4. Rhabdomyoma

Explanation: Tuberous sclerosis complex (TSC) is an autosomal dominant neurocutaneous syndrome with a high incidence of sporadic cases and variable clinical expression. It has an estimated frequency of 1/6000. Major manifestations of TSC include skin lesions in more than 95%, autism and seizures in 85%, kidney disease in 60%, intellectual disability in 50%, and cardiac rhabdomyoma in 50%.Intellectual disability and autism are more in TSC patients who presents with generalized seizures including infantile spasms in the first 2 years of life. Reference: GHAI Essential pediatrics, 8th edition